Kruti, A 56 years old, complained of pain in abdomen, with USG showing 4 cm bilateral ovarian mass with increased vascularity. Next line of managements:
1. USG guided ovarian tapping
2. Wait and watch
3. Surgery
4. OC pills x three cycles.

Correct answer: 3. Surgery

Explanation: Surgery is the keystone in the primary treatment of ovarian malignancy Aims are To stage the disease accurately thereby allowing better choice of adjuvant therapy and better assessment of prognosis To perform effective surgical removal PRIMARY SURGERY a.young women:unilateral oophorectomy ->routine follow up and monitoring.->completion of family,->removal of uterus and other ovary b.elderly women:hysterectomy and bilateral scalping loop go recto my c. In stage Is,G3,disease and other stage 1:staging laprotomy-> hysterectomy and bilateral salpingooophorectomy. D.C.DUTTA'S TEXTBOOK OF GYNECOLOGY,Pg no:378,6th edition